A young man presents to the emergency department with a maculopapular rash 2 weeks after healing of a painless genital ulcer. The most likely etiological agent is
1. Treponemapallidum
2. Treponemapeunae
3. Chalmydia Trachomatis
4. Calymatobacter granulomatis

Correct answer: 1. Treponemapallidum

Explanation: A i.e. Treponema pallidum Development of nonpruritic maculopapular rash (secondary syphilis) two weeks after heeling of painless genital ulcer (primary syphilis) suggest Treponema pailidium as an etiological aget.